All of the following are derivatives of tryptophan EXCEPT:
1. Melatonin
2. Serotonin
3. Niacin
4. Creatinine

Correct answer: 4. Creatinine

Explanation: Ans. (d) Creatinine* Tryptophan is one of the essential aromatic amino acid* Metabolic fate of tryptophan: Metabolized by enzyme Tryptophan oxygenase (pyrrolase)* Derivatives of tryptophan:# Niacin (Nicotinic acid)# Serotonin# Melatonin* Note: Creatinine is synthesized from 3 amino acids namely: Glycine, Arginine. Methionine